Wilson's disease is due to mutation in which gene
1. WT - 1
2. ATP7B
3. ATP7A
4. LMK - 2

Correct answer: 2. ATP7B

Explanation: Wilson's disease is due to mutation of ATP7B gene on chromosome 13q